True regarding testicular feminization syndrome:
1. Phenotype that of female
2. Phenotype and genotype of male
3. Genotype, phenotype and gonads of male
4. Gnods and genotype that of female

Correct answer: 1. Phenotype that of female

Explanation: Ans. is a, i.e. Phenotype that of femaleIn Testicular feminizing syndrome:Genotype = 46 (XY) = malePhenotype = Female (well developed breast)Gonads = Testes.